A 'saphenous vein cutdown' is a procedure used to locate the great saphenous vein at the ankle. To find this vein, the skin would be incised:
1. Anterior to the lateral epicondyle
2. Posterior to the medial epicondyle
3. Anterior to the medial malleolus
4. Posterior to the lateral malleolus

Correct answer: 3. Anterior to the medial malleolus

Explanation: At the ankle, the great saphenous vein travels anterior to the medial malleolus. At the knee, it travels posterior to the medial condyle of the femur. However, saphenous cut-downs are done at the ankle, not the knee, so anterior to the medial malleolus is the correct answer. The other important relationship to remember is that the lesser saphenous vein travels posterior to the lateral malleolus.